In how many flaps is fetal skull opened during autopsy?
1. 2
2. 3
3. 4
4. 5

Correct answer: 3. 4

Explanation: Ans. is 'c' i.e., 4 In infants and fetuses, before skull ossification and suture closure is complete, the fontanelles can be separated and the skull opened in 4 flaps, in a "butterfly" manner.In newborn infants in whom sagittal sinus trauma or developmental abnormalities are suspected, the following alternative cranial opening preserves the critical anatomy.To preserve the superior sagittal sinus, dura is incised at lateral angles of the anterior fontanelle parallel to and approximately 1 cm lateral on both sides of the midline, preserving the superior sagittal sinus in between.Each of these incisions is continued anteriorly and posteriorly (into frontal and occipital bones) and laterally (into the parietal bones) to create two large bone flaps, each on a "hinge" of uncut parietal bone inferiorly.In adults, the saw line is made in slightly V - shaped direction - to remove the skull cap.